The blister pack used in MDT of leprosy Is shown in PLATE. Which drug is not supplied in it?
1. Rifampacin
2. Clofazamine
3. Dapsone
4. Minocycline

Correct answer: 4. Minocycline

Explanation: ANSWER: (D) Minocycline REF: LAL textbook of leprosy page 371 See PLATE - KEY BLISTER PACKS OF MDT OF LEPROSY The treatment of leprosy is in the form of Multi Drug Therapy (MDT), which is the combination of two or three of the following drugs: Cap. Rifampicin Tab. Dapsone Cap. Clofazimine Four types of standard regimens are available in blister packs for treatment of leprosy; MDT is provided in convenient-to-use blister calendar packs (BCPs) with medicine for four weeks or 28 days, which is loosely referred to as one month. BCPs for PB leprosy contain two medicines and that for MB leprosy contain three medicines. BCPs for children contain the same medicines as the BCPs for adults but in smaller doses. Standard adult treatment regimen for MB leprosy * Rifampicin: 600 mg once a month * Clofazimine: 300 mg once a month & 50 mg daily * Dapsone: 100 mg daily Duration: 12 months (12 blister packs) Follow up: once a year for 5 years Standard adult treatment regimen for PB leprosy * Rifampicin: 600 mg once a month * Dapsone: 100 mg daily Duration: six months (six blister packs) Follow up: once a year for 2 years Standard child (ages 10 - 14) treatment regimen for MB leprosy * Rifampicin: 450 mg once a month * Clofazimine: 150 mg once a month, and 50 mg every other day * Dapsone: 50 mg daily Duration: 12 months (12 blister packs) Follow up: once a year for 5 years Standard child (ages 10 - 14) treatment regimen for PB leprosy * Rifampicin: 450 mg once a month * Dapsone: 50 mg daily Duration: six months (six blister packs) Follow up: once a year for 5 years The appropriate dose for children under 10 years of age can be decided on the basis of body weight. [Rifampicin: 10 mg per kilogram body weight, clofazimine: 1 mg per kilogram per body tveight daily and 6 mg per kilogram monthly, dapsone: 2 mg per kilogram body weight daily. The standard child blister pack may be broken up so that the appropriate dose is given to children under 10 years of age. Clofazimine can be spaced out as required. **Rarely, it may be considered advisable to treat a patient with a high bacillary index (Bl) for more than 12 months. This decision may only be taken by specialists at referral units aftercareful consideration of the clinical and bacteriological evidence. PB Adult blitter pack PB adult treatment: Once a month: Day 1 - 2 capsules of n tampion (300 mg X 2) - 1 tablet of dapsone (100 mg) Once a day: Day 2-28 - 1 tablet of dapsone (100 mg) full course: 6 blister packs MB adult blister pack MB adult treatment: Once a month: Day 1 - 2 capsules of ntampicm (300 mg X 2) - 3 capsules ol clofazimine (l00 mg X 3) - 1 tablet ol dapsone (100 mg) Once a day: Days 2-28 -1 capsule of clofamne (50 mg) - 1 tablet ol dapsone (100 mg) Full course: 12 blister packs PB child blister pack PB child treatment (10-14 years): Once a month; Day 1 - 2 capsules of nfamptcm (300 mg+150 mg) - 1 tablet of dapsone (50 mg) Once a day: Days 2 -28 - 1 tablet of dapsone (50 mg) Full course; 6 blister packs For children younger than 10. the dose must be adjusted according to body weight MB child blister pack MB child treatment (10-14 years): Once a month: Day 1 - 2 capsules of ntampon (300 mg+ 150 mg) - 3 capsules of clofazimine (50 mg x 3) - 1 tablet of dapsone (50 mg) Once a day: Days 2-28 - 1 capsule of clofazimine every other day (50 mg) - 1 tablet of dapsone (50 mg) Full course: 12 blister packs For children younger than 10. the dose must be adjusted according to body weight Top 2 lines break off: detachable): Clofazimine 300mg (three capsules of 100mg). Rifampicin 600mg (two capsules of 300mg) and Dapsone 100mg (one tablet of 100mg) Unsupervised Daily Treatment (DAYS2-28): Clofazimine 50mg (one capsule of 50mg) EVERY DAY and Dapsone 100mg(one tablet of 100mg) EVERY DAY Duration of Treatment 12 bbster packs to be taken within 12-18 months Back view of the MB Adult MDT blister pack R = Rifampicin monthly supervised dose is 600mg(2 capsules each of 300mg) C = Clofazimine 100mg. monthly supervised dose is 300mg (3 capsules). D = Dapsone monthly supervised dose is 100mg (1 tablet). The figures 2-28 represent 4 weeks of unsupervised Clofazimine (50mg) every day and Dapsone (100mg) daily Actual size of blister pack: 106mm x 140mm